Rifampicin is a powerful enzyme inducer. It is most likely to induce the metabolism of which of the following anti-retroviral drugs?
1. Tenofovir
2. Nevirapine
3. Abacavir
4. Zidovudine

Correct answer: 2. Nevirapine

Explanation: Rifampicin is a microsomal enzyme inducer - increases several CYP450 isoenzymes, including CYP3A4 , CYP2D6, CYP1A2 and CYP2C subfamily. It thus enhances its own metabolism as well as that of many drugs including warfarin, oral contraceptives, corticosteroids, sulfonylureas, HIV protease inhibitors, non-nucleoside reverse transcriptase inhibitors (NNls), theophylline, metoprolol, fluconazole, ketoconazole, clarithromycin, phenytoin, etc. Among given options, Nevirapine (NNRTI) is the best answer.